Hyoid bone fracture most common occurs in ?
1. Manual strangulation
2. Hanging
3. Smothering
4. Traumatic asphyxia

Correct answer: 1. Manual strangulation

Explanation: Ans. is 'a' i.e., Manual strangulation As manual strangulation (throttling) is among the most violent form of asphyxia, hyoid fracture and other injury to neck structures is more common.